Lateral medullary syndrome, features are
1. Ipsilateral numbness of face and trunk
2. Horner's syndrome
3. Contralateral paralysis
4. All

Correct answer: 2. Horner's syndrome

Explanation: Symptoms and sign of lateral medullary syndrome are : *Horner's syndrome due to descending sympathetic pathway involvement *Ipsilateral loss of pain and temperature sensation over face due to spinal nucleus and tract of trigeminal nerve involvement *Ipsilateral paralysis of muscles of palate ,pharynx,and larynx due to involvement of nucleus ambiguous. *Contralateral loss of pain and temperature sensation over trunk and limbs due to spinothalamic tract. Ref Harrison20th edition pg 2456